Etiology of Epidermolysis bullosa is –
1. Genetic
2. Infections
3. Senile
4. Malignant

Correct answer: 1. Genetic